SeICIDs are derivatives of:
1. Chloroquine
2. Retinoic acid
3. Thalidomide
4. None of the above

Correct answer: 3. Thalidomide

Explanation: Another group of thalidomide analogs, selective cytokine inhibitory drugs (SelCIDs), are phosphodiesterase type 4 inhibitors with potent anti-TNF-a activity but no T-cell co-stimulatory activity. Several SelCIDs are currently under investigation for clinical use. Ref: Katzung 11th edition Chapter 61.